Which of the following is NOT true for Cystic fibrosis:
1. Abnormal sweat gland function
2. Ultimately lead to bronchogenic carcinoma
3. Exocrine pancreatic insufficiency
4. Intestinal dysfunction

Correct answer: 2. Ultimately lead to bronchogenic carcinoma

Explanation: Ans. B i.e. Ultimately lead to bronchogenic carcinoma Cystic fibrosis: Autosomal recessive, Results due to mutation in a gene on chromosome 7, Predisposes to chronic infection by staph. aureus and pseudomonas, Cavitation is oftenly seen with staphylococcal infections